Anterior trunk of mandibular branch of trigeminal nerve supply all except
1. Medial pterygoid
2. Lateral pterygoid
3. Masseter
4. Temporalis

Correct answer: 1. Medial pterygoid